In congenital adrenal hyperplasia, deficient enzyme is - most womon-
1. 11 hydroxylase deficiency
2. 21 a hydroxylase deficiency
3. 3a hydroxylase deficiency
4. 17a hydroxylase deficiency

Correct answer: 2. 21 a hydroxylase deficiency

Explanation: Ans. is 'b' i.e., 21-a Hydroxylase dificiency Congenital adrenal hyperplasia (CAH)Group of AR disorderMC adrenal disorder in childhoodMost common 21-hydroxylase deficiencyIn 21a-hyroxylese deficiencyThere is deficiency of mineralocorticoids & glucocorticoid.This leads to hypoglycemia, hyponatremia.